The egg of which helminth can be concentrated in saturated salt solution -
1. Taenia saginata
2. Taenia solium
3. Unfertilized egg of Ascaris
4. Ancylostoma duodenale

Correct answer: 4. Ancylostoma duodenale

Explanation: Ans. is 'd' i.e., Ancylostoma duodenale